AFP is associated with various clinical aspect in obstetrics. All of the following have high alpha fetoprotein levels, EXCEPT:
1. Multiple pregnancy
2. IUD
3. Trisomy 21
4. Renal anomalies

Correct answer: 3. Trisomy 21

Explanation: Conditions Associated with Abnormal Maternal Serum Alpha-Fetoprotein Concentrations: Elevated Levels: Underestimated gestational age Multifetal gestation Fetal death Neural-tube defects Gastroschisis Omphalocele Low maternal weight Cystic hygroma Sacrococcygeal teratoma Urinary obstruction Renal anomalies--polycystic kidneys, renal agenesis Low Levels: Obesity Diabetes Chromosomal trisomies Gestational trophoblastic disease Fetal death Overestimated gestational age Ref: Cunningham F.G., Leveno K.J., Bloom S.L., Hauth J.C., Rouse D.J., Spong C.Y. (2010). Chapter 13. Prenatal Diagnosis and Fetal Therapy. In F.G. Cunningham, K.J. Leveno, S.L. Bloom, J.C. Hauth, D.J. Rouse, C.Y. Spong (Eds), Williams Obstetrics, 23e.